Which of the following is a term describing a health education method comprising of a series of speeches on a selected subject?
1. Symposium
2. Panel discussion
3. Workshop
4. Conference

Correct answer: 1. Symposium

Explanation: A symposium is a series of speeches on a selected subject. Various speakers speak on various aspects of the topic. Unlike panel discussion, there is no discussion among symposium members. Ref: Park 21st edition page: 804.